Example of Apoptosis is:
1. Council man bodies
2. Gamma Gandy body
3. Russel body
4. None of the above

Correct answer: 1. Council man bodies

Explanation: Council man bodies